A chronic alcoholic develops palpitations suddenly after alcohol binge. Which of the following arrythmia is most commonly associated with alcohol binge in the alcoholics?
1. Ventricular fibrillations
2. Veicular premature contractions
3. Atrial flutter
4. Atrial fibrillation

Correct answer: 4. Atrial fibrillation

Explanation: Answer is D (Atrial fibrillation) Atrial fibrillation is the most common arrhythmia appearing after a drinking binge. Fibrillation is followed by atrial flutter and ventricular premature depolarization in frequency.